Whis is the most common valvular abnormality in carcinoid heart disease ?
1. Tricuspid insufficiency
2. Tricuspid stenosis
3. Pulmonary stenosis
4. Constrictive pericarditis

Correct answer: 1. Tricuspid insufficiency

Explanation: Overall, in patients with carcinoid heart disease, 97% have tricuspid insufficiency, 59% tricuspid stenosis, 50% pulmonary insufficiency, 25% pulmonary stenosis, and 11% left-side lesions. Reference: Harrisons Principles of Internal Medicine, 18th Edition